A 40 year old man presented with painless haematuria. Bimunual examination revealed a ballotable mass over the right flank. Subsequently right nephrectomy was done and the mass was seen to be composed of cells with clear cytoplasm. Areas of haemorrhage and necrosis were frequent. Cytogenetic analysis of this mass is likely to reveal the abnormality of-
1. Chromosome 1
2. Chromosome 3
3. Chromosome 11
4. Chromosome 17

Correct answer: 2. Chromosome 3

Explanation: Ans. is 'b' i.e., Chromosome 3